Common injury to baby is:
1. Fracture humerus
2. Fracture clavicle
3. Fracture
4. Fracture femur

Correct answer: 2. Fracture clavicle

Explanation: B i.e. Clavicle